The following is true about term "New Families' -
1. It is variant of the 3-generation family
2. It is applied to all nuclear families of less then 10 years duration
3. It is variant of the joint family
4. It is applied to all nuclear families of less then 2 years duration

Correct answer: 2. It is applied to all nuclear families of less then 10 years duration

Explanation: - all nuclear families of less then 10 years duration is termed as new families. - the concept is important in view of studies relating to family planning. Reference : Park's textbook of preventive and social medicine, 23rd edition, pg no:684